HPV type 6 and 11 associated with genital was have_____ oncogenic risk?
1. High
2. Low
3. NO
4. Variable

Correct answer: 2. Low

Explanation: Human Papilloma virus has an association with premalignant lesions of cervical cancer, hence co testing (cervical cytology + HPV testing) is recommended in all sexually active women above 29 years of age High oncogenic risk--Types 16, 18, 31, 33,35, 45, 56. Low oncogenic risk--Types 6, 11, 42, 43.